Gastro jejunostomy is an example of -
1. Clean contaminated wound
2. Clean uncontaminated wound
3. Unclean uncontaminated wound
4. Unclean contaminated wound

Correct answer: 1. Clean contaminated wound